First retinal abnormality in diabetic retinopathy:
1. Microaneurysm
2. Hard exudates
3. Soft exudates
4. Cotton wool spots

Correct answer: 1. Microaneurysm

Explanation: A i.e. Microaneurysm